Recommended minimum per capita space for every worker under The Factory Act 1948 is:-
1. 100 cu.ft.
2. 300 cu.ft.
3. 500 cu.ft.
4. 1000 cu.ft.

Correct answer: 3. 500 cu.ft.

Explanation: Factory act 1948: Employment of <14 years child is not allowed 15-18 years Adolescents are allowed to work only between 6 am and 7 pm Work hour duration: Max. working hours (Adults) - 48hrs /week (not exceeding 9 hrs/day) Total no. of hours including overtime should not exceed - 60hrs /week Per capita space - 500 cu.ft 1 safety officer / 1000 worker 1 Welfare officer / 500 worker 1 canteen - 250 workers 1 creche - 30 female workers.